'Today' contraceptive contains :
1. Prostaglandin F2
2. Norethisterol
3. 9 -- Nonoxynol
4. Copper releasing mesh

Correct answer: 3. 9 -- Nonoxynol

Explanation: 9 -- Nonoxynol